Delirium and schizophrenia differ from each other by:
1. Change in mood
2. Clouding of consciousness
3. Tangential thinking
4. All of the above

Correct answer: 2. Clouding of consciousness

Explanation: Delirium presents with clouding of consciousness whereas in schizophrenia consciousness is intact. The mood changes and tangential thinking cannot be used for differentiation.